Botulinum toxin causes?
1. Tachycardia
2. Bilateral cranial nerve involvement
3. Fever
4. Hypertension

Correct answer: 2. Bilateral cranial nerve involvement